A 39 year old Carpenter has taken two bottles of liquor from the local shop. After about and hour, he develops confusion, vomiting and blurring of vision. He has been brought to the emergency department. He should be given
1. Naloxone
2. Diazepam
3. Flumazelnil
4. Ethyl alcohol

Correct answer: 4. Ethyl alcohol

Explanation: The clinical features are suggestive of methyl alcohol poisoning. Formic acid and formaldehyde (metabolites of methyl alcohol) are responsible for these symptoms. Ethyl alcohol is used for treatment as it saturates alcohol dehydrogenase, thereby decreasing production of formic acid and formaldehyde.